Polyarteritis nodosa does not involve:
1. Pulmonary artery
2. Bronchial artery
3. Renal artery
4. Cerebral artery

Correct answer: 1. Pulmonary artery

Explanation: Polyarteritis nodosa (PAN) is a systemic vasculitis of small or medium-sized muscular arteries, typically involving renal and visceral vessels but sparing the pulmonary circulation. The most prominent morphologic feature of the affected artery is an area offibrinoid necrosis